20 year old male with osteomas of the skull.
1. Adenomatous Polyposis
2. Crohn's disease
3. Ulcerative colitis
4. None

Correct answer: 1. Adenomatous Polyposis

Explanation: Ans. (a) Adenomatous PolyposisGross picture shows multiple polyposis with numerous small polyps covering the colonic mucosa.20 year old male should be suspected as having faulty APC gene as he is having multiple polyps and also having osteomas of skull. Other extra colonic manifestations should be looked for.